Specificity of a screening test measures?
1. True positives
2. False positives
3. False negatives
4. True negatives

Correct answer: 4. True negatives